Digoxin is not indicated in
1. Atrial flutter
2. Atrial fibrillation
3. High output failure
4. PSVT

Correct answer: 3. High output failure

Explanation: Digitalis is an agent that is indicated when heart is not able to pump the blood adequately. Higher output Failure is seen in conditions like anaemia and thyrotoxicosis in which heart is already contracting vigorously. Cardiac glycoside,thus are not indicated in high output failure Refer kDT 6/e p502